Treatment of choice for Eale’s disease
1. Corticosteroids
2. Antibiotics
3. Antihistaminics
4. Surgery

Correct answer: 1. Corticosteroids

Explanation: 1. Medical treatment. Course of oral corticosteroids for extended periods is the main stay of treatment during active inflammation.
A course of antitubercular therapy has also been recommended in selective cases. 
2. Laser photocoagulation of the retina is indicated in stage of neovascularizion. 
3. Vitreoretinal surgery is required for non- resolving vitreous haemorrhage and tractional retinal detachment.